A 40-year-old lady with temporal field defects and galactorrhoea is most likely to have -
1. Pituitary macroadenoma
2. Craniopharyngioma
3. Lactational failure
4. Pregnancy

Correct answer: 1. Pituitary macroadenoma

Explanation: Temporal field defects in women with galactorrhoea suggests pituitary macroadenoma.
Increased secretion of prolactin causes amenorrhoea, galactorrhoea and the mass effect of the tumour on the optic nerve produces headache and visual field defect.